Eosinophilic meningo-encephalitis is caused by-
1. Acanthamoeba
2. Naegleria
3. Angiostrongylus
4. Toxoplasma

Correct answer: 3. Angiostrongylus

Explanation: Ans. is 'c' i.e., Angiostrongylus o Ansiotronzvlus cantonensis, the rat lumnvorm.is the most common cause of human eosino-philic meningitiso Human acquire the infection by ingesting raw infected mollusks; vegatables contaminated by mollusk slime; or crabs, freshwater shrimp, and certain marine fish that have them eaieninfected mollusks.Causes of eosinophilic meningitisInfectious, parasitic causesRoundworm (nematode) infections - commonly present as eosinophilic meningitiso Angiotronglvlus cantonensis - migrating larvae inherently neurotropico Gnathostoma spinigerum - migrating larvae in visceral and/or neural tissueso Baylisascaris procyonis - migrating larvae inherently neurotropicTapeworm (cestode) infections - may present as eosinophilic meningitiso Cysticercosis -Cysts develop in CNS and/or visceral tissuesFluke (trematode) infections - occasionally cause eosinophilic meningitiso Paragonimus westermani - ectopic spinal or cerebral localization,o Schistosomiasis - ectopic spinal or cerebral localization,o Fasciolsasis - ectopic CNS localization.Other roundworm infections which occasionally cause eosinophilic meningitiso Toxocariasis - migrating larvaeNonparasitic, infectious causeso Coccidioidomycosiso Ciyptococcosis - CSF eosinophitia rareo Myiasis - with CNS penetrationo Virus and bacteria - are of uncertain causalityNoninfectious causeso Idiopathic hypereosinophilic syndromeso Ventriculoperitoneal shuntso Leukemia or lymphoma with CNS involvement (Hodgkin's)o Nonsteroidal antiinflammatory drugso Antibiotics - ciprofloxacin, trimethoprim - sulfamethoxazole, intraventricular gentamicin or vancomycino Myelography contrast agents